Which of the following is the etiology of Werner syndrome?
1. Increased length of telomere
2. Short telomere with damaged DNA and loss of helicase
3. Increased advanced glycation end products
4. Decreased lipid peroxidation

Correct answer: 2. Short telomere with damaged DNA and loss of helicase

Explanation: Werner syndrome: It is a hereditary condition with premature aging due to mutation in the WRN gene There is Loss of function DNA helicase. This results in the shortening of the telomeres with damaged DNA. There is increased risk of cancer in the individuals with Werner syndrome.